Ramla, 65 yrs old male presents with low backpain especially at L3, anaemia and fatiguability) His investigation profile reveals -Hb =7gm%, TLC-9000/cmm, DLC -N- 55%, L-30%, M-10%, E-1%, -2%,Serum proteins-8gm %, ratio-2.9/5.9, ESR-90 and serum creatinine-3.2 mg%. Likely diagnosis is -
1. Waldenstroms macroglobulinemia
2. Multiple myeloma
3. TB spine
4. Secondaries in spine

Correct answer: 2. Multiple myeloma